The term prevalence refer to the
1. Cumulative effect of a disease
2. Number of new cases of a disease
3. Proportion of population affected by a disease
4. Rate of disease

Correct answer: 3. Proportion of population affected by a disease